Which of the following condition is not associated with elevated serum total lactate dehydrogenase level?
1. Hemolysis
2. Stroke
3. Myocardial infarction
4. Muscle crush injury

Correct answer: 2. Stroke

Explanation: Acute MI causes an increase in LDH in 12-24 hours, attains peak value in 48 hours and returns to normal in 1-2 weeks. Because of high concentration of LDH in the RBC, lysis of RBCs causes elevation of LDH levels. Muscle injuries and liver diseases like hepatitis can also cause raised LDH levels. Stroke is not associated with raised LDH levels. Ref: Pocket Guide to Diagnostic Tests By Diana Nicoll, 5th Edition